Which of the following is not present at birth?
1. Mastoid tip
2. Mastoid antrum
3. Ethmoidal labrynth
4. Endolymphatic sinus

Correct answer: 1. Mastoid tip

Explanation: The mastoid process is absent or rudimentary in neonatal skull. It forms postnatally as sternocleidomastoid develops and pulls on the bone Web search